Krukenberg's spindles are characteristically seen in which of the following condition?
1. Chalazion
2. Pigmentary glaucoma
3. Sympathetic opthalmitis
4. Retinitis pigmentosa

Correct answer: 2. Pigmentary glaucoma

Explanation: Krukenberg's spindles refers to deposition of pigment granules on the posterior surface of the cornea. It is seen in pigmentary glaucoma. Pigmentary glaucoma: It is a type of secondary open angle glaucoma wherein clogging up of trabecular meshwork occurs by pigment particles. Characteristic glaucomatous features are similar to primary open angle glaucoma. It is associated with deposition of pigment granules in the anterior segment structures such as iris, posterior surface of cornea, trabecular meshwork, ciliary zonules and crystalline lens. Gonioscopy shows: Accumulation of pigment along the Schwalbe's line inferiorly (Sampaolesi's line). Iris transillumination shows radial slit like transillumination defects in the mid periphery (Pathognomonic feature).